3rd heart sound is d/t
1. Closure of av valve
2. Closure of aortic valve
3. Mid diastolic flow r in the ventricle
4. Atrial contraction

Correct answer: 3. Mid diastolic flow r in the ventricle

Explanation: Occasionally a weak, rumbling third heart sound is heard at the beginning of the middle third of diastole.
A logical but unproven explanation of this sound is an oscillation of blood back and forth between the walls of the ventricles initiated by inrushing blood from the atria.
The reason the third heart sound does not occur until the middle third of diastole is believed to be that in the early part of diastole, the ventricles are not filled sufficiently to create even the small amount of elastic tension necessary for reverberation.
The frequency of this sound is usually so low that the ear cannot hear it, yet it can often be recorded in the phonocardiogram.